Copper sulphate poisoning manifests with
1. Acute hemolysis
2. High anion gap acidosis
3. Peripheral neuropathy
4. Rhabdomyolysis

Correct answer: 1. Acute hemolysis

Explanation: In severe cases of copper poisoning, jaundice occurs due to both haemolysis as well as direct liver damage produced by copper sulphate. Renal failure may occur due to direct toxicity as well as intravascular haemolysis. Ref: Krishan Vij textbook of forensic medicine, 5th edition pg : 569,570